In which case homologus artificial insemination is used in females :
1. Hormonal disturbances
2. Tubal block
3. Cervical factor
4. All of the above

Correct answer: 3. Cervical factor

Explanation: Cervical factor